Subclinical infection is not seen in:
1. Measles
2. Mumps
3. Rubella
4. Japense encephalitis

Correct answer: 1. Measles

Explanation: Ans-A Measles Ref: 21st edition Park, pg 137 Explanation: Significantly large amount of subclinical eases are in rubella (21st edition Park , pg 140), mumps (21st edition Park. pg 140), Japanese encephalitis (21st edition Park , pg 261). Number of subclinical infection with measles very low (ALMOST NIL).